High-viscosity glass ionomer cement has
1. Finer glass particles
2. A higher powder/liquid ratio
3. Increased packability and strength
4. All of the above

Correct answer: 4. All of the above

Explanation: High-viscosity glass ionomer cement—A conventional GIC that contains finer glass particles and a higher powder/liquid ratio for increased packability and strength.
Ref: Phillip’s Science of Dental Materials ed 12 pg 320